Flask shaped heart is seen in -
1. Ebstein anomaly
2. Pericardial effusion
3. TOF *
4. TAP VC

Correct answer: 2. Pericardial effusion

Explanation: Ans. is 'b' i.e., Pericardial effusion o Snowman's sign is seen in supracardiac TAPVC,Cardiac configration o "Boot-shaped" heart (cour en sabot)Fallot's tetralogyo "Egg on side" heart ("egg in cup" heart)Transposition of great arterieso "Egg in cup" HeartConstrictive pericarditiso "Snowman" sign ("figure of 8,Supracardiac TAPVCor cottage loaf" sign) o "Ground - glass" appearance of lungObstructive TAPVCo "Sitting-duck" heartPersistent truncus arteriosuso "Water-bottle" or Basked shapedPericardial effusion, hypothyroidismor money bag heart o "Box-shaped" heartTricuspid atresia, Ebstein's anomalyo Tubular heartAddison's disease, emphysemao "Tear -drop" heartChronic emphysemao "Cor-triatum"Pulmonary vein obstructiono "Jug handle" appearancePrimary pulmonary hypertensiono "Pentagon-shaped" heartMitral incompetenceo "Triangular-shaped" heartConstrictive pericarditis